m-RNA to C-DNA is made by
1. Reverse transcriptase
2. DNA polymerase
3. RNA polymerase
4. DNA Ligase

Correct answer: 1. Reverse transcriptase

Explanation: Ans. (a) Reverse transcriptaseRef. Microbiology by Ananthanarayan and Paniker 9th ed. /574-75* Once an HIV virus infects a cell, the viral RNA is transcribed by reverse transcriptase, first into single stranded DNA and then into double stranded DNA.HIV infection of a cell || Viral RNA inside the cell ||Reverse transcriptaseSingle stranded DNA ||Reverse transcriptaseDouble stranded DNA (Provirus) || Integrated into host chromosomes ||-Viral promotersSynthesis of viral RNA and other components